Microscopic examination of the articular surface of synovial joint demonstrates?
1. Hyaline cartilage
2. Adipocytes
3. Endothelial cells
4. Periosteum

Correct answer: 1. Hyaline cartilage

Explanation: Articular cartilage is a hyaline cartilage on articular surfaces of the bone.Note menisci are made of fibrocartilage.Reference: Chaurasia; 6th edition